Composition of soda lime includes all except -
1. NaOH
2. KOH
3. Ca (OH)2
4. Mg (OH)2

Correct answer: 4. Mg (OH)2

Explanation: Ans. is 'd' i.e., Mg (OH)2 Soda limeo Most commonly used CO2 absorbent. The composition of Soda lime is: -Ca(OH)2-94%NaOH-5% (Catalyst)KOH-<1%Silica-To prevent dust formationIndicator Moisture Granule size-4-8 mesho 100 gm of sodalime can absorb upto 23 litres of CO2. Now a days a good quality sodalime with prolonged life, Durasorb is used which is pink when fresh and becomes white when exhausted.